Hob nail cells are seen in :
1. Hilus cell tumor
2. Clear cell carcinoma
3. Dysgerminoma
4. Arrhenoblastoma

Correct answer: 2. Clear cell carcinoma

Explanation: Clear cell carcinoma